Test tube-shaped rete pegs is a feature of:
1. Psoriasis.
2. Reiter's syndrome.
3. Geographic tongue.
4. OSMF.

Correct answer: 1. Psoriasis.

Explanation: Monro abscess seen in:

Psoriasis, geographic tongue

  ↓
Elongation of rete ridges

Reiter’s syndrome

  ↓
No elongation
In Psoriasis → ‘Test tube’ shaped rete ridges